Hypoglossal nerve supplies all muscles except
1. Palatoglossus
2. Styloglossus
3. Genioglossus
4. Hyoglossos

Correct answer: 1. Palatoglossus

Explanation: Nerve supply Motor nerves All the intrinsic and extrinsic muscles except the palatoglossus are supplied by the hypoglossal nerve. the palatoglossus is supplied by the cranial root of the accessory nerve through the pharyngeal plexus. So seven out of eight muscles are supplied by the 12th nerve. Ref BDC volume 3;sixth edition of 268